Thinnest portion of sclera ?
1. Anterior to rectus muscle insertion
2. Posterior to rectus muscle insertion
3. Posterior pole
4. Limbus

Correct answer: 2. Posterior to rectus muscle insertion

Explanation: Ans. is.b, Posterior to rectus muscle insertion Thinnest portion of sclera- Posterior to insertions of rectus muscle. Thickest portion of sclera- Posterior pole.